A young boy presents to the ophthalmology department with decreased vision, six months after being hit by a tennis ball in the eye. Which of the following findings on optical examination is suggestive of Blunt injury to the eye:
1. Optic Neuritis
2. Pars Planitis
3. Vitreous base detachment
4. Equatorial edema

Correct answer: 3. Vitreous base detachment

Explanation: C i.e. Vitreous base detachment Finding of retinal dialysis accompanied by vitreous base avulsion (detachment) is pathognomic of blunt ocular trauma. The trauma is responsible for 10% of all cases of RD and is the most common cause in the childrenQ. Retinal breaks and detachment may develop in traumatized eye either at the time of impact or subsequently. In cases that detach, subretinal fluid frequently may not develop until several months later, and progression (of visual loss) is typically slowQ.